Mini mental state examination is used in the diagnosis of:
1. Delirium
2. Mania
3. Depression
4. Dementia

Correct answer: 4. Dementia

Explanation: Ref: Synopsis of Psychiatry. Kaplan and Sadock, 10th editionExplanation:MINI MENTAL STATUS EXAMINATION (MMSE)It is a bedside tool to find out the cognitive status of an individual.It was devised by Folstein and widely used in eases of dementia.it is a screening tool to identify cognitive impairment.It is also used as a prognostic tool by identifying the degree of cognitive impairment and response to treatment. it is NOT a diagnostic tool.It is NOT identical with mental status examination though both share same words!.MMSE has scores ranging from 0 to 30o Normal cognition: 27 - 30.o No impairment: 25-26o Mild impairment: 19-24o Moderate impairment: 10-18o Severe impairment: < 9.MMSE tests following five areas:Attention/calculation.Orientation (Time and place).Memory (Registration and recall).Language use (Repetition, naming, comprehension).Motor (Copying).Language of administration, education, physical handicap are confounding factors.OTHER RATING SCALESDelirium, by its nature (patient is either agitated or unresponsive), precludes MMSE. Even MMSE is performed in delirium, it will be invalid. Rather Delirium Rating Scale (DRS) is the specific tool to assess delirium.Mania- Young's mania rating scale.Depression - Hamilton depression rating scale.